The most common intraperitoneal abscess following peritonitis
1. Subphrenic
2. Pelvic
3. Paracolic
4. Interloop

Correct answer: 2. Pelvic

Explanation: question repeated